Normal lower oesophageal sphincter pressure is
1. 5-8 mm of Hg
2. 10-25 mm of Hg
3. 25 - 40 mm of Hg
4. > 40 mm of Hg

Correct answer: 2. 10-25 mm of Hg

Explanation: The normal lower oesophageal sphincter is 3-4 cm in length and has a pressure of 10-25 mmHgThe LOS is a zone of relatively high pressure that prevents gastric contents from refluxing into the lower oesophagusRef: Bailey and Love 27e pg: 1068